Deep brain stimulation has been approved for treatment of
1. Movement disorders like Parkinsonism
2. Schizophrenia
3. Depression
4. Anxiety disorder

Correct answer: 1. Movement disorders like Parkinsonism

Explanation: DBS is approved only for treatment resistant parkinsonism by FDA, Has been tried for treatment resistant depression, OCD, other movement disorders